Deep inguinal ring is a deficiency in the -
1. Internal oblique muscle
2. Transversus abdominis muscle
3. Internal spermatic fascia
4. Transversalis fascia

Correct answer: 4. Transversalis fascia

Explanation: Deep inguinal ring lies lateral to rectus abdominis, as an opening in fascia transversalis.